Mitochondria of a sperm is seen in:
1. Head
2. Neck
3. Body
4. Tail

Correct answer: 3. Body

Explanation: Body